When testing arrangement of teeth at the trial insertion 54. of complete dentures, the lower lip should, when pronounce the letter 'f' in fifty
1. Be anterior to maxillary incisors
2. Not come near maxillary incisors
3. Light contact maxillary incisors incisal edge
4. None of the above

Correct answer: 3. Light contact maxillary incisors incisal edge